Which of the following is the synthetic vitamer of vitamin K?
1. Phylloquinone
2. Menaquinone
3. Menadione
4. All of the above

Correct answer: 3. Menadione

Explanation: Vitamers are different forms of vitamins. Vitamin K has three different vitamers as: